Indicate the drug which does not improve lower esophageal sphincter tone or prevent gastroesophageal reflux, but is used as the first line treatment of gastroesophageal reflux disease:
1. Sodium alginate+aluminium hydroxide gel
2. Omeprazole
3. Mosapride
4. Metoclopramid

Correct answer: 2. Omeprazole

Explanation: (Ref: KDT 6/e p648) Treatment of GERD can be acomplished by Increasing GI motility with prokinetic drugs (like metoclopramide and mosapride) or By decreasing gastric acid secretion with PPIs like omeprazole.